Radiation exposure can leads to which thyroid carcinoma?
1. Lymphoma
2. Papillary carcinoma
3. Medullary carcinoma
4. Follicular carcinoma

Correct answer: 2. Papillary carcinoma

Explanation: ANSWER: (B) Papillary carcinomaREF: APPENDIX-111 for "THYROID CARCINOMA"Repeat Pathology 2008